Vital layer in slow sand filter is seen in
1. Top of water
2. On the sand bed
3. Near filter
4. None

Correct answer: 2. On the sand bed

Explanation: Ans. is 'b' i.e., On the sand bed Vital layer is seen into the top portion of sand bed (not on the top of water). Slow sand filter Also known as biological filter It has following layers from above down words : - 1. Supernatant (raw) water to be purified. 2. Sand bed 3. Gravel support 4. Filter bottom orT Vital layer, when full formed, extends for 2 to 3 cm into the top portion of sand bag.